Which of the following is not the surgery for GERD
1. Nissens fundoplication
2. Linx
3. Poem
4. None of the above

Correct answer: 3. Poem

Explanation: Per Oral endoscopic myotomy is done for achalasia cardia